All are tuning fork tests except
1. Schwaback test
2. Grants test
3. Rinne's test
4. Weber's test

Correct answer: 2. Grants test

Explanation: Cold-air caloric test: This test is done when there is perforation of the tympanic membrane because irrigation with water in perforation is contraindicated. The test employs Dundas Grant tube, which is a coiled copper tube wrapped in cloth. The air in the tube is cooled by pouring ethyl chloride and then blown into the ear. It is only a rough qualitative test. Ref: Dhingra 6th Edition pg no 43